A toxalbumin similar to viperine snake venom is present in the seeds of:
1. Abrus precatorius
2. Dhatura
3. Ergot
4. Croton tiglium

Correct answer: 1. Abrus precatorius

Explanation: Ans. Abrus precatorius